Melatonin is synthesized from
1. Histidine
2. Methionine
3. Tryptophan
4. Phenylalanine

Correct answer: 3. Tryptophan

Explanation: Ans. c (Tryptophan). (Ref. Harper, Biochemistry, 25th /pg.355)AMINOACID DERIVATIVESPhenylalanine:# Phenylalanine >> tyrosine >> dopa >> norepinephrine >> epinephrine# Phenylalanine >> tyrosine >> dopa >> dopamine >> melanin2# Phenylalanine >> tyrosine >> thyroxineTryptophan# Niacin# Serotonin# Melatonin2Histidine# Histidine -Histamine (by decarboxylation)Glycine# Porphyrin and haeme# Purines# Creatine (totally madeup of glycine + arginine + methionine; mnemonic--GAM)# Glutathione (totally made up of glycine + cystine+ glutamate; mnemonic--GCG)Arginine# Carnitine# UreaMethionine# Choline